What is the most common extra articular manifestation of ankylosiing spondylitis?
1. Anterior uveitis
2. Aortic regurgitation
3. Cataract
4. Inflammatory bowel disease

Correct answer: 1. Anterior uveitis

Explanation: Extra articular manifestations of ankylosing spondylitis Up to 40% of patients also have peripheral musculoskeletal lesions (asymmetrical, affecting entheses of large joints, such as the hips, knees, ankles and shoulders).Fatigue is a major complaint and is common to all SpAs, but its cause is unknown. Acute anterior uveitis is the most common extra-articular feature, which occasionally precedes joint disease Ref Davidson 23e p1030